Which of the following is not a feature of idiopathic pulmonary hemosiderosis?
1. Hemoptysis
2. Eosinopenia
3. Iron deficiency anemia
4. Diffuse alveolar hemorrhage

Correct answer: 2. Eosinopenia

Explanation: Eosinopenia